Which of the following does not describe an infant "at risk" ?
1. Third child
2. Birth weight less than 2.5 kg
3. On artificial feed
4. Twins

Correct answer: 1. Third child

Explanation: Ans. is 'a' i.e., Third childIdentification of 'At Risk' InfantsBirth weight < 2.5 KgTwinsBirth order 5 or moreArtificial feedingWeight below 70% of expected weight (i.e. grade II & III malnutrition)Failure to gain weight during 3 successive monthsChildren with PEM, Diarrhea.Working mother, one parent.Spacing of less than 1 year.